True about celiac disease -
1. Villous atrophy
2. Crypt hyperplasia
3. Infiltration of lymphocytes
4. All

Correct answer: 4. All

Explanation: Ans. is 'a' i.e., Villous atrophy; 'b' Crypt hyperplasia; 'c' i.e., Infiltration of lymphocyteso Characteristic histopathological features in celiac disease are:(t) Intraepithelial lymphocytosis (Increased numbers of intraepithelial CD8 + T lymphocytes).(ii) Crypt hyperplasia(iii) Villous atrophyCryptitis refers to inflammation of an intestinal crypt. It is not a feature of celiac disease. It is seen in Inflammatory bowel disease (CD, UC), diverticular disease, radiation colitis and infectious colitis.